BRCA-1 gene is located at chromosome location?
1. 17 p21
2. 17 q21
3. 13 p21
4. 13 q21

Correct answer: 2. 17 q21

Explanation: Ans. is 'b' i.e., 17 q21